Examples of monounsaturated fatty acids are
1. Oleic
2. Arachiodonic acid
3. Linolenic acid
4. Lysine

Correct answer: 1. Oleic

Explanation: Monounsaturated (Monoethenoid) fatty acids: They contain one double bond. Their general formula is Cn H2n-1 COOH Example: Oleic acid C17H33 COOH is found in nearly all fats (formula 18: 1; 9)Ref: M.N. Chatterjee - Textbook of Biochemistry, 8th edition, page no: 47